Carbohydrate of blood group substance is
1. Sucrose
2. Fucose
3. Arabinose
4. Maltose

Correct answer: 2. Fucose

Explanation: L-fucose is the carbohydrate portion of Blood group substances